Postmortem studies of a man shows onion skin thickening of arteriolar wall which is characteristic of:
1. Atherosclerosis
2. Medial calcific sclerosis
3. Hyaline arteriosclerosis
4. Hyperplastic arteriosclerosis

Correct answer: 4. Hyperplastic arteriosclerosis

Explanation: Hyperplastic arteriosclerosis occurs in severe (malignant hypertension); vessels exhibit 'onion-skin lesions', characterized by concentric, laminated thickening of the walls and luminal narrowing. The laminations consist of smooth muscle cells with thickened, reduplicated basement membranes; in malignant hypertension they are accompanied by fibrinoid deposits and vessel wall necrosis (necrotizing arteriolitis), particularly in kidney. Ref: Robbins & Cotran Pathologic Basis of Disease, By Vinay Kumar, Abul K. Abbas, Nelson Fausto, Jon C. Aster, 2009, Chapter 11.